SA node acts as a pacemaker of the heart because of the fact that it
1. Is capable of generating impulses spontaneously
2. Has rich sympathetic innervations
3. Has poor cholinergic innervations
4. Generates impulses at the highest rate

Correct answer: 4. Generates impulses at the highest rate

Explanation: SA node acts as the pacemaker of heart because the impulses generated here is having the fastest rate.